Radiological signs of coarctation of aorta are all EXCEPT:
1. Rib notching
2. 'E' sign
3. Normal shaped heart
4. 'Egg on side' appearance

Correct answer: 4. 'Egg on side' appearance

Explanation: Coarctation of the aorta is the most common congenital cardiovascular cause of hypertension. The diagnosis may be confirmed by Chest x-ray and Transesophageal echocardiography. Rib notching is the most specific sign and it occurs mainly in the fourth to the tenth ribs and appears by the age of 10. The left border of the heart shows the 3 sign. Therapeutic options include Surgical repair and balloon angioplasty, with or without placement of an Intravascular stent. TRANSPOSITION OF GREAT ARTERIES (TGA) : The vascular pedicle is characteristically narrow in the frontal plane because the pulmonary artery lies behind the aorta and not by its side. The Heart is enlarged and takes the shape of an "egg on the side"